What is the percentage of water in adult human being?
1. 40%
2. 50%
3. 60%
4. 70%

Correct answer: 3. 60%

Explanation: In the average young adult male, 18% of the body weight is protein and related substances, 7% is mineral, and 15% is fat. The remaining 60% is water. Ref: Ganong's Review of Medical Physiology 23rd edition, Chapter 1.